Cerebello pontine angle tumour is most commonly:
1. Acoustic neuroma
2. Cholesteotoma
3. Meningioma
4. All of the above

Correct answer: 1. Acoustic neuroma

Explanation: Ans: a (Acoustic neuroma)Ref: Dhingra E.N.T. 3rd /e p. 143 & 2nd/e p. 116